Therapeutic drug monitoring of plasma concentrations of antihypertensive drugs is NOT practiced because:
1. Determination of plasma level of these drugs is quite tedious and long process
2. It is easier to measure the effect of these drugs
3. Antihypertensive effect do not increase linearly with the dose
4. All antihypertensive drugs are prodrugs

Correct answer: 2. It is easier to measure the effect of these drugs